Most common presentation of chronic pancreatitis
1. Nausea
2. Steatorrhea
3. Pain
4. Brittle Type 3 diabetes

Correct answer: 3. Pain

Explanation: Ans. (c) PainRef: Bailey and Love 27th ed; pg. 1230* MC symptom of Chronic pancreatitis - Pain* Site of pain depends on the foci of disease:# Head: Epigastric and Right Subcostal Pain# Left Side pancreas: Back pain# Diffuse pain is also seen sometimes.# Radiation to shoulder also can be seen